Treatment of choice for Warthin's tumor:
1. Superficial parotidectomy
2. Enucleation
3. Radiotherapy
4. Injection of a sclerosant agent

Correct answer: 1. Superficial parotidectomy

Explanation: Ans. (a) Superficial parotidectomy Ref: SRB Surgery Manual Page 445* Enucleation can also be done for Warthin's tumor - But the best surgery is Superficial Parotidectomy